A person is being treated for Human Immunodeficiency Virus–1. He developed hypertriglyceridemia and hypercholesterolemia. Most likely drug implicated for these adverse effects is :
1. Ritonavir
2. Raltegravir
3. Didanosine
4. Efavirenz

Correct answer: 1. Ritonavir